All are common causes of ileal obstruction except?
1. Adhesions
2. Obstructed hernia
3. Stricture
4. Hirschsprung's disease

Correct answer: 4. Hirschsprung's disease

Explanation: Ans. (d) Hirschsprung's DiseaseRef.:Manipal Manual of surgery, 4th ed./731Common causes of ileal obstructionCommon causes of colonic obstruction* Adhesions* Obstructed hernia* Stricture* Intussusception* lleocaecalTB* Bands* Fecal impaction* Carcinoma colon* Hirschsprung's disease* Anorectal malformations